Stellate granuloma is characteristic of?
1. Cat scratch disease
2. Cerebral malaria
3. Histoplasmosis
4. Churg strauss syndrome

Correct answer: 1. Cat scratch disease

Explanation: Cat scratch disease and lymphogranuloma Venereum produces a special type of granuloma known as stellate granuloma. It is a granuloma with central neutrophilic infiltrates.